When the patient fails to understand normal speech, but can understand shouted or amplified speech the hearing loss, is termed ?
1. Mild hearing loss
2. Moderate hearing loss
3. Severe hearing loss
4. Profound hearing loss

Correct answer: 3. Severe hearing loss

Explanation: Ans. is 'c' i.e., Severe hearing loss Severe hearing loss What is severe hearing loss? On average, the most quiet sounds heard by people with their better ear are between 70 and 95 dB. People who suffer from severe hearing loss will benefit from powerful hearing aids, but often they rely heavily on lip-reading even when they are using hearing aids. Some also use sign language.